Least common complication of peptic ulcer
1. Gastric Outlet Obstruction
2. Bleeding
3. Perforation
4. Epigastric Pain

Correct answer: 1. Gastric Outlet Obstruction

Explanation: (A) Gastric Outlet Obstruction # GASTRIC OUTLET OBSTRUCTION:> The two common causes of gastric outlet obstruction are gastric cancer (see below) and pyloric stenosis secondary to peptic ulceration.> Previously the latter was more common. Now, with the decrease in the incidence of peptic ulceration and the advent of potent medical treatments, gastric outlet obstruction should be considered malignant until proven otherwise, at least in the West. The term pyloric stenosis is normally a misnomer.> The stenosis is seldom at the pylorus. Commonly, when the condition is due to underlying peptic ulcer disease, the stenosis is found in the first part of the duodenum, the most common site for a peptic ulcer.> True pyloric stenosis can occur due to fibrosis around a pyloric channel ulcer. However, in recent years the most common cause of gastric outlet obstruction has been gastric cancer. In this circumstance the metabolic consequences may be somewhat different from those of benign pyloric stenosis because of the relative hypochlorhydria found in patients with gastric cancer.